Transitional epithelium or urothelium lines all of the following structures of the urinary system, EXCEPT:
1. Ureters
2. Minor calyx
3. Urinary bladder
4. Membranous Urethra

Correct answer: 4. Membranous Urethra

Explanation: The normal urothelium is composed of 3-7 layers of transitional cell epithelium. It is characterized by a superficial layer of dome like cells that are neither squamous nor columnar. These cells, sometimes called umbrella cells. It lines,Walls of the calicesPelvisUrinary bladderUretersUpper part of the urethra